All are nephrotoxic, EXCEPT
1. Lithium
2. Gentamicin
3. Chlorpromazine
4. Cephalosporins

Correct answer: 3. Chlorpromazine

Explanation: Ans. is 'c' i.e., Chlorpromazine Nephrotoxic drugs:Lithium - Causes Nephrogenic diabetes insipidusCephalosporins - Cause interstitial nephritis and acute tubular necrosis (cephaloridine)Gentamicin - Causes injury to proximal tubular cells leading to acute renal failure.Also knowMost nephrotoxic cephalosporin - Cephaloridine Most nephrotoxic aminoglycoside - Neomycin Least nephrotoxic aminoglycoside - Streptomycin